Maximum linoleic acid is found in -
1. Safflower oil
2. Coconut oil
3. Mustard oil
4. Sunflower oil

Correct answer: 1. Safflower oil

Explanation: Ans. is 'a' i.e., Safflower oil o Richest source ofpolyunsaturated fatty acid-Safflower oilo Richest source of monounsaturated fatty acid-Palmolein oilo Richest source of saturated fatty acid-Coconut oilo Richest source of linoleic acid-Safflower oilo Richest source of linolenic acid-Flaxseed oilo Richest source of eicosapentaenoic acid-Fish oilo > 50% of PUFA is present in Safflower oil, Sunflower oil, Corn oil, and Soyabean oil.